"Query fever" is caused by -
1. Pseudomonas
2. Franciseella
3. Coxiella burnetii
4. Rickettsia typhi

Correct answer: 3. Coxiella burnetii

Explanation: Ans. is 'c' i.e., Coxiella burnetii Query fever is nothing else but Q fever caused by coxiella burnetii